Liquid gold urine is seen with which poisoning
1. Heavy metals
2. Barbiturates
3. Organophosphorous
4. Lead poisoning

Correct answer: 2. Barbiturates

Explanation: color of urine in different poisoning carbolic acid-green Nitric acid - brown Barbiturates- liquid gold Ref: Dr Bhatia medical toxicology